Percentage of Halothane metabolized ?
1. 1%
2. 5%
3. 10%
4. 20%

Correct answer: 4. 20%

Explanation: Ans. is 'd' i.e., 20% Most of the inhaled anaesthetics are eliminated from lungu though some metabolism in liver may occur. In terms of extent of hepatic metabolism, the rank of order is methoxyflurane (> 50%) > Halothane (20%) > Ether (10-157o) > enflurane (3-5%) desflurane (< 0.1%) > NrO (0%). NrO does not have any metabolism in the body.